In conversion disorder, all of the following are seen except
1. Jealousy
2. Paralysis
3. Anaesthesia
4. Abnormal gait

Correct answer: 1. Jealousy

Explanation: During childhood, conversion disorder occurs most commonly in the 10–15 year age range. Girls outnumber boys in a ratio of 2:1 (Anon, 1991).
In a majority of cases, symptoms are of abrupt onset and date from a minor illness or injury. Comprehensive history taking will in many instances reveal evidence of domestic stress, poor intrafamilial communication, unresolved grief (Malony, 1980), unhappiness at school, and feelings of parental rejection (Binzer and Eisemann, 1998). In a study of 51 children and adolescents with conversion disorder, Pehlivanturk and Unal (2000) found comorbid depression in 16% and a comorbid anxiety disorder in 37%.
Other predisposing factors are a rigid obsessional personality trait (Wynick et al., 1997) and previous sexual abuse (Roelofs et al., 2002).
There may be an adult family member or acquaintance with an obvious disability as a result of stroke, accident, or other cause. This individual could act as a role model for the patient.